All are hyperechoic on USG except
1. Air
2. Bone
3. Calcification
4. Bile

Correct answer: 4. Bile

Explanation: Bile is hypoechoic on USG. Air, bone, calcification and fat are hyperechoic on USG. Bile duct shown in the figure.